Serum amyloid associated protein is increased in?
1. Alzheimer’s disease
2. Ankylosing spondylitis
3. Chronic renal failure
4. Malignant hypertension

Correct answer: 2. Ankylosing spondylitis

Explanation: Secondary Amyloidosis (Reactive Systemic Amyloidosis) is associated with amyloid deposits that are composed of Amyloid Associated Protein (A Protein).
It is seen in

a) Chronic inflammatory conditions like RA (most common), TB & leprosy, osteomyelitis, ankylosing spondylitis, IBD (Crohn’s disease, UC), bronchiectasis.
b) Some tumors like Renal cell carcinoma (hypernephroma), Hodgkins lymphoma.

SAA is produced in the liver as an acute phase reactant in the inflammatory process.
The SAA is released into the circulation as an amyloid precursor and is transformed to A amyloid in lysosomes of macrophages and other cells of the reticuloendothelial system.